All are indications for CT in a head injury patient except
1. Focal neurological deficit
2. GCS <13 at presentation
3. An episode of vomiting
4. Patient is on warfarin

Correct answer: 3. An episode of vomiting

Explanation: Indications for CT imaging within 1 hourGCS <13 at any pointGCS <15 at 2 hoursFocal neurological deficitSuspected open, depressed or basal skull fractureMore than one episode of vomitingPost-traumatic seizureIndications for CT imaging within 8 hoursAge >65 yearsCoagulopathy (e.g. aspirin, warfarin or rivaroxaban use)Dangerous mechanism of injury (e.g. fall from a height, road traffic accident)Retrograde amnesia >30 minutesBailey and love 27e 330